Otto veraguth sign is found in -
1. Mania
2. Anxiety
3. OCD
4. Depression

Correct answer: 4. Depression

Explanation: A common physical sign associated with depression is otto-veraguth's fold in upper eyelid.